In which of the following c-ANCA is seen?
1. Wegener's granulomatosis
2. Polyarteritis nodosa
3. Churg-Strauss syndrome
4. Bechet's syndrome

Correct answer: 1. Wegener's granulomatosis

Explanation: a. Wegener's granulomatosis(Ref: Nelson's 20/e p 1176-1180, Ghai 8/e p 628)C-ANCAP-ANCA (against Myeloperoxidase)Wegener's GranulomatosisQ (90-95%)* Microscopic PAN (microscopic polyangitis)* Churg-Strauss syndromeQ* Drugs (hydralazine, propythiouracil)* Crescentic GlomerulonephritisQ* Goodpasteur's syndromeQ* Ulcerative colitis* Primary sclerosing cholangitisQ